Treatment of ALL -a) Hydroxyureab) All trans retinoic acidc) Prednisodoned) L-asparginasee) Vincristine
1. abd
2. acd
3. cde
4. ade

Correct answer: 3. cde